Gram-stained periorbital exudates in severe panophthalmitis with cellulitis in an elderly diabetic shows irregular branching aseptate and broad hyphae. Which of the following is the most likely diagnosis
1. Candida
2. Aspergillus
3. Pencillium
4. Apophysomyces species

Correct answer: 4. Apophysomyces species

Explanation: Candida shows pseudohyphae. Aspergillus and Penicillium showed septate hyphae. Reference: Textbook of Microbiology; Baveja; 4th edition